Which of the following measures sensitivity:
1. True negatives
2. True positives
3. False positives
4. False negatives

Correct answer: 2. True positives

Explanation: Ans. B: True positives Sensitivity denotes true positives